Pain, muscle tenderness, clicking or popping noise in T.M joint and limitation of jaw motion are the four cardinal signs and symptoms of
1. Casten's syndrome
2. Traumatic arthritis of TMJ
3. Ostearthritis
4. Myofacial pain dysfuction syndrome

Correct answer: 4. Myofacial pain dysfuction syndrome